NOT a feature of Horner's syndrome?
1. Loss of taste sensation
2. Ptosis
3. Anhydrosis
4. Miosis

Correct answer: 1. Loss of taste sensation

Explanation: (A) Loss of taste sensation # HORNER'S SYNDROME results due to interruption of the sympathetic nerve supply to the eye. It is characterized by the classic Triad of Miosis (constricted pupil), Partial ptosis, & Loss of hemifacial sweating (Anhidrosis).> Von Passow syndrome is an association of Horner syndrome with iris heterochromia (heterochromia iridis).# CAUSES OF HORNER SYNDROME> First-order neuron lesions: Arnold-Chiari malformation Basal meningitis (E.g., syphilis) Basal skull tumors Cerebral vascular accident (CVA)/Wallenberg syndrome (Lateral medullary syndrome) Demyelinating disease (E.g., multiple sclerosis) Lesions in the hypothalamus or medulla Intrapontine hemorrhage Neck trauma (E.g., Traumatic dislocation of cervical vertebrae or Traumatic dissection of the vertebral artery): Horner syndrome resulting in association with spinal cord trauma suggests a high cervical cord lesion because it does not occur with lesions below T2 or T3 Pituitary tumor Syringomyelia> Second-order neuron lesions: Pancoast tumor (tumor in the apex of the lung, most commonly squamous cell carcinoma) Birth trauma with injury to lower brachial plexus Cervical rib Aneurysm or dissection of the aorta Lesions of the subclavian or common carotid artery Central venous catheterization Trauma or surgical injury (E.g., due to radical neck dissection, thyroidectomy, carotid angiography, radiofrequency tonsil ablation, chiropractic manipulation, or coronary artery bypass grafting) Chest tubes Lymphadenopathy (E.g., Hodgkin's disease, leukemia, tuberculosis, or mediastinal tumors) Mandibular tooth abscess Lesions of the middle ear (E.g., acute otitis media) Neuroblastoma> Third-order neuron lesions: Internal carotid artery dissection (associated with sudden ipsilateral face or neck pain) Raeder or Paratrigeminal syndrome: characterized by Oculosympathetic paresis & ipsilateral facial pain with variable involvement of the trigeminal and oculomotor nerves Carotid cavernous fistula Cluster or migraine headache Herpes zoster